Pathognomic finding of rabies is:
1. Obliterative endarteritis
2. Microglial nodules
3. Neuronophagia
4. Negri bodies

Correct answer: 4. Negri bodies

Explanation: Ans: D i.e. Negri bodiesPathologic changes and associated conditionsIn tuberculosis, arteries running through the subarachnoid space may show obliterative endarteritis with inflammatory infiltrates in their walls and marked intimal thickeningHIV encephalitis is best characterized microscopically as a chronic inflammatory reaction with widely distributed infiltrates of microglial nodules, sometimes with associated foci of tissue necrosis and reactive gliosisAcute cases of poliomyelitis show mononuclear cell perivascular cuffs and neuronophagia of the anterior horn motor neurons of the spinal cordNegri bodies, the pathognomic microscopic finding of rabies, are cytoplasmic, round to oval, eosinophilic inclusions that can be found in pyramidal neurons of the hippocampus and Purkinje cells of the cerebellum, sites usually devoid of inflammation.